Meig's syndrome is commonly associated with:
1. Teratoma
2. Brenner tumour
3. Fibroma
4. Theca cell tumour

Correct answer: 3. Fibroma

Explanation: Meig's syndrome is present with ovarian fibroma, ascites and right sided pleural effusion Any other ovarian tumor or a pedunculated fibroid causing ascites with pleural effusion is known as Pseudo Meig's syndrome Most common cause of Pseudo meig's syndrome is Brenner tumor.